Which of the following statements regarding ACE inhibitors is TRUE ?
1. These inhibit the conversion of angiotensinogen to angiotensin–1
2. Omission of prior diuretic dose decreases the risk of postural hypotension
3. Lisinopril is shorter acting than enalapril
4. These are contra–indicated in diabetic patients.

Correct answer: 2. Omission of prior diuretic dose decreases the risk of postural hypotension